Which is best used for sex differentiation
1. Pelvis
2. Skull
3. Femur
4. Humerus

Correct answer: 1. Pelvis

Explanation: Ans) a (Pelvis) Ref: K.S.Narayan Reddy 21st Ed P55Pelvis is the bone best used for sex determination.There are many differences between male and female pelvis.Listed below are some of the important points. FEMALEMALEBuiltBones thinner, markings less prominentThicker, markings more prominentPelvis Inlet:Cavity:Walls:Outlet: sub pubiclarge circular short cylindrical vertical wide angle(80-85)(50-60)Ilium Vertical blades Curved bladesIschial tuberosity Everted Less evertedPre and post auricular sulcusProminentLess prominentGreater sciatic notchWider, shallowDeep narrowObturator foramenSmall triangularOval and largerIschiopubic index~ 100~83